Most common cause of Bony ankylosis
1. TB Hip
2. TB Knee
3. Septic arthritis
4. Pott's spine

Correct answer: 3. Septic arthritis